According to Census 2011, Child sex ratio is :-
1. 908
2. 919
3. 927
4. 940

Correct answer: 2. 919

Explanation: According to Census 2011, Child sex ratio is 919. Child Sex ratio = x 1000. Highest in Mizoram. Lowest in Haryana. CSR-919 Adult sex ratio- 943/1000 males Highest - Kerala Lowest- Daman and diu(U.T), haryana(state)